The characteristic features of Myophosphorylase deficiency include
1. McArdle's disease
2. Storage of glycogen in skeletal muscles
3. Muscle weakness and failure of exercise induced rise in blood lactate
4. All of the above

Correct answer: 4. All of the above

Explanation: (D) All of the above # McArdle syndrome (type V):# Enzyme Deficiency:> Muscle phosphorylase# Morphologic changes:> Skeletal muscle only-accumulations of glycogen predominant in subsacrolemmal location.> Clinical features: Painful cramps associated with strenuous exercise. Myoglobinuria occurs in 50% of cases. Onset in adulthood (>20 year old). Muscular exercise fails to raise lactate level in venous blood. Compatible with normal longevity.